Which is the direct branch of celiac trunk:
1. Rt. Gastric
2. Lt. Gastric
3. Gastroduodenal
4. Rt gastro epiploic aery

Correct answer: 2. Lt. Gastric

Explanation: B. i.e. Left gastric aery